Relative afferent pathway defect is manifested by which of the following pupil appearance:
1. Argyll Robertson pupil
2. Hutchinson's pupil
3. Adies pupil
4. Marcus Gunn Pupil

Correct answer: 4. Marcus Gunn Pupil

Explanation: Marcus Gunn pupil: It is the paradoxical response to a pppiLoLligbt in the presence ofa relative afferent path.'ay defect (RAPD.. It is tested by swinging flash light test. Argyll Robertson pupil: In this condition light reflex is absent while near reflex is present. Both the pupils are small in size, irregular and dilate poorly with mydriatics. It is seen in the lesions of tectum regions. Tonic pupil : A unilateral condition in which reaction to light is absent and to near reflex is very slow and tonic. The affected pupil is larger. Hutchinson' s pupil: It is a ocular sign of head injury. It is associated with subdural hemorrhage and unconsciousness.